Breast cancer is epidemiologically commoner with ?
1. Smoking
2. Nulliparity
3. Oral contraceptives
4. Multiparity

Correct answer: 2. Nulliparity

Explanation: Answer (b) Nulliparity